All of the following are sexually transmitted, except
1. Candida albicans
2. Echinococcus
3. Molluscum contagiosum
4. Treponema pallidum

Correct answer: 2. Echinococcus

Explanation: Echinococcus granulosus is dog tapeworm. It is not an STD. Trichomonas is the only parasite causing STD. Molluscum contagiosum is a virus causing STD, whereas candida albicans is a fungus causing STD and T.pallidum is a bacteria causing STD Ref: Ananthanarayan& Paniker's textbook of microbiology, 9th edition.